All of the following statements about Esophageal carcinoma are true, Except:
1. More common in Men
2. Adenocarcioma is on rise
3. Most common in elderly
4. Pernicious anemia is a risk factor

Correct answer: 4. Pernicious anemia is a risk factor

Explanation: Answer is D (Pernicious anemia is a risk factor) Pernicious anemia is a risk factor fir stomach carcinoma and not for esophageal carcinoma. Esophageal carcinoma is more common in Men and in elderly Epidemiological feature of esophageal carcinoma * Men > Women * Predominantly affects older age group (> 50 years) Adenocarcinoma is on the rise For unclear reasons the incidence of squamous cell carcinoma has decreased while the rate of adenocarcinoma has risen dramatically. - Harrison Dysphagia is the most common symptom The most common presentation of esophageal carcinoma is progressive dysphagia (solids then liquids)